What is the name of this device, used to measure subscapular skin fold thickness?
1. Orchidometer
2. Vernier callipers
3. Harpenden Callipers
4. Shakir's tape

Correct answer: 3. Harpenden Callipers

Explanation: Harpenden callipers- used to measure the skin fold thickness. Measured over the following areas:- Subscapular Biceps Triceps areas. Other options:- Orchidometer- used to measure volume of testicles. Shakir's tape- used to measure MUAC Vernier callipers- used to measure diameter of object